Complications of epidural anesthesia are all EXCEPT:
1. Headache
2. Hypotension
3. DIC
4. Epidural hematoma

Correct answer: 3. DIC

Explanation: DIC REF: Morgan 3rd e p. 346 Repeat from June 2008 Complications of epidural blockade are: Failure Accidental dural puncture leading to headache High anesthesia leading to hypotension Bloody tap Epidural abscess Epidural hematoma Misplaced catheter Infections Paraplegia Neurological deficit Arachnoiditis Catheter block Death